A 65 years old male is having weight 60kg and serum creatining 3mg/d1. What is creatinine clearance
1. 5
2. 10
3. 15
4. 20

Correct answer: 4. 20

Explanation: Ans: D. 20(Ref: Textbook of clinical nephrology 4'h/e p. 136)Creatinine clearance is calculated by Cockcroft-Gault equation :-Creatinine clearance = / 72 x serum creatinine in mg/dl.Creatinine clearance = / 72 x 3 = 20.83 ml/minNote:In females the values are multiplied by 0.S5.Thus, for same values, creatinine clearance in female of 65 years = 17.7 (20.83 x 0.85).